True about Na+ - K+ pump is that:
1. Involves ATPase activity
2. It can move Na+ in and out of cell
3. Electrically neutral
4. Pumps out one Na+ for one K+

Correct answer: 1. Involves ATPase activity

Explanation: A i.e. Involves ATPase activity